Packed red cells are stored in:
1. SAG-M solution
2. PCR-F solution
3. MED-R solution
4. DAM-P solution

Correct answer: 1. SAG-M solution

Explanation: Packed cells are stored in a SAG-M solution (saline–adenine–glucose–mannitol) to increase their shelf-life to 5 weeks at 2–6 deg C. (Older storage regimens included storage in CPD – citrate–phosphate–dextrose solutions – giving cells a shelf-life of 2–3 weeks).